False statement about Barret esophagus is:-
1. Goblet cells seen on histology
2. Patient may lead to malignancy after few years
3. Columnar to squamous metaplasia
4. Chronic GERD is the predisposing factor

Correct answer: 3. Columnar to squamous metaplasia

Explanation: Option C: Squamous changes to Columnar